You are posted as an intern in causality. Which among the followings with fractures will be your 1st priority to call ortho PG and inform?
1. Patient's finger is blackening
2. Patient cannot extend his arm
3. A 10 cm abrasion
4. Intra - articular fracture of elbow joint

Correct answer: 1. Patient's finger is blackening

Explanation: Orthopedic emergency:1. Pelvic fracture 2. Vascular injury 3. Septic arthritis